Validity of an indicator means
1. It should actually measure what it is supposed to measure
2. The answer should be same if measured by different persons in similar circumstances
3. Indicators should reflect changes in the situation concerned
4. Indicators should have ability to obtain data needed

Correct answer: 1. It should actually measure what it is supposed to measure

Explanation: Ref:Parks 23rd edition pg 138 validity refers to what extend the test accurately measures what it purports to measure. Validity includes - sensitivity and specificity.